Surface marking of the oblique fissure of lung include all EXCEPT:
1. T3 vertebra
2. 5th rib
3. 7th rib
4. 6th coastal cartilage

Correct answer: 3. 7th rib

Explanation: 7th rib does not come in the surface marking of oblique fissure. Oblique fissure Passes anteroinferiorly from the spinous process of the T3 vertebra to cross the 5th rib in the midaxillary line Further continues inferiorly, crossing the 6th rib (and costal cartilage) at the mid-clavicular line.